Following is an exception to Courvoisier's law:
1. Cancer of ampulla
2. Cancer of pancreas
3. Cancer of bile duct
4. Primary oriental cholangiohepatitis causing stones in the CBD.

Correct answer: 4. Primary oriental cholangiohepatitis causing stones in the CBD.

Explanation: Primary oriental cholangiohepatitis causing stones in the CBD Exceptions to Courvoisier's law: Double impaction - one stone in CBD and stone in cystic duct. Periampullary carcinoma in a patient who has undergone cholecystectomy. Primary oriental cholangiohepatitis causing stones in the CBD (gall bladder is normal in these cases).